A child is brought to the pediatric OPD with fever of 24 hours duration. History reveals 3 episodes of chest infection and passage of foul smelling stools. The most probable diagnosis is:
1. Cystic fibrosis
2. Maple syrup urine disease
3. Bilirubin conjugation defect
4. Criggler Najar syndrome

Correct answer: 1. Cystic fibrosis

Explanation: a. Cystic fibrosis(Ref: Nelson's 20/e p 2098-2112, Ghai 8/e p 393)High grade fever and chest infection along with passage of foul smelling stools suggests systemic disease.In cystic fibrosis because of pancreatic exocrine insufficiency, foul smelling stool is common.